Dangerous type of Herpes virus ?
1. Herpes simplex-2
2. Cytomegalo virus
3. Epstein barr virus
4. Herpes virus simiae

Correct answer: 4. Herpes virus simiae

Explanation: Ans. is 'd' i.e., Herpes virus simiae Herpes Virus Simiae (Monkey B Virus) is biohazard risk group-4 virus which can cause serious or lethal human diseases.